Renal plasma flow is increased by 50-75% during pregnancy. Which of the following is normally seen in the urine of a pregnant woman in the third trimester?
1. Glucose
2. Galactose
3. Fructose
4. Sucrose

Correct answer: 1. Glucose

Explanation: During pregnancy, renal threshold is diminished due to the combined effect of increased glomerular filtration and impaired tubular reabsorption of glucose. Also know: During pregnancy, renal tubules also fail to reabsorb uric acid, amino acids, water soluble vitamins and other substances completely. Glycosuria on one occasion before 20th week and on two or more occasions is an indication for glucose tolerance test. Ref: Textbook of Obstetrics by D.C. Dutta, 6th edition, Page 55, 284.